All of the following conditions are observed in Gout except:-
1. Uric acid nephrolithiasis
2. Deficiency of enzyme Xanthine oxidase
3. Increase in serum urate concentration
4. Renal disease involving interstitial tissues

Correct answer: 2. Deficiency of enzyme Xanthine oxidase

Explanation: Answer is B (Deficiency of enzyme Xanthine oxidase): Deficiency of enzyme xanthine oxidase does not lead to gout. Xanthine oxidase is the enzyme that is needed for synthesis of uric acid from purine. Deficiency of xanthine oxidase will result in decreased formation of uric acid and hence will not lead to gout, rather this shall prove protective in gout. Allopurinol is a xanthine oxidase inhibitor that mimic's the deficiency of xanthine oxidase and is actually used in treatment of gout.